Primary prevention-
1. Marriage counseling
2. Early diagnosis and treatment
3. Pap smear
4. Self breast examination

Correct answer: 1. Marriage counseling

Explanation: Ans. is 'a' i.e., Marriage counseling